In diabetes, which can occur in the fetus:
1. Pre-eclampsia
2. Polyhydramnios
3. Fetal anomalies
4. Abruptio placentae

Correct answer: 3. Fetal anomalies